True about RIBOZYME:
1. Peptidyl transferase activity
2. Cut DNA at specific site
3. Participate in DNA synthesis
4. GTPase activity

Correct answer: 1. Peptidyl transferase activity

Explanation: Ans. a. Peptidyl transferase activity (Ref: Harper 28/e p363; 27/e p364; Lippincott 4/435-439, Lehninger 5/e p1078)Ribozymes are RNA molecule with catalytic activityQ. Ribozymes play a central role in peptide bond formation (peptidyl transferase activity).RibozymeRibozymes are RNA molecules with catalytic activityQ.These generally involve transesterification reactions, and most are concerned with RNA metabolism (splicing and endoribonuclease).Recently, a ribosomal RNA component was noted to hydrolyze an aminoacyl ester and thus play a central role in peptide bond formation (peptidyl transferase)Q.